The distance between tympanic membrane and medial wall of middle ear at centre is:
1. 3 mm
2. 4 mm
3. 6 mm
4. 2 mm

Correct answer: 4. 2 mm

Explanation: Middle ear cavity is shaped like a cube, compressed from side to side. In coronal section it resembles a biconcave disc. The vertical and anteroposterior diameters are 15 mm each, and transverse diameters are: 6 mm (at roof), 2 mm (in the centre). 4 mm (at floor)